What is the APGAR score of a child born blue with HR 70/ mt, floppy with feeble cry and grimacing on nasal suction?
1. 3
2. 2
3. 4
4. 5

Correct answer: 1. 3

Explanation: APGAR is used to quantitatively evaluate newborns condition after birth by giving scores between 0 and 2 in each of 5 different categories assigned at 1 and 5 minutes of life. The 5 criteria used were heart rate, respiration's, muscle tone, reflex irritability and color. APGAR score for HR less than 100 is 1, grimace on nasal suction score is 1, feeble cry score is 1, floppy score is 0 and blue color score is 0. So the total score is 3. Signs 0 1 2 Heartbeats per minute Absent Slow (<100) >100 Respiratory effort Absent Slow, irregular Good, crying Muscle tone Limp Some flexion of extremities Active motion Reflex irritability No response Grimace Cry or cough Color Blue or pale Body pink, extremities blue Completely pink Ref: Raab E.L., Kelly L.K. (2013). Chapter 9. Normal Newborn Assessment & Care. In A.H. DeCherney, L. Nathan, N. Laufer, A.S. Roman (Eds), CURRENT Diagnosis & Treatment: Obstetrics & Gynecology, 11e